Treatment duration of Multi-bacillary leprosy is:
1. 6 months
2. 12 months
3. 2 years
4. 5 years

Correct answer: 2. 12 months

Explanation: Multi drug therapy (MDT) of Leprosy: Paucibacillary Leprosy (PBL) Multibacillary Leprosy (MBL) No. of skin lesions <= 5 >= 5 Nerve involvement 0-1 nerve >= 1 nerve Treatment Adults: Day 1: Supervised monthly Rifampicin 600 mg Dapsone 100 mg Day 1: Supervised monthly Rifampicin 600 mg Clofazimine 300 mg Dapsone 100 mg Day 2-28: Daily Dapsone 100 mg Day 2-28; Daily Clofazimine 50 mg, Dapsone 100 mg children b/w 10-14 yrs - Rifampicin -450 mg once a month, supervised - Dapsone -50 mg daily, self administered - Rifampicin - 450 mg once a month, given under supervision - Dapsone - 50 mg daily, self administered - Clofazimine -150 mg once a month supervised & 50 mg every other day. Duration of treatment 6 months 12 months Duration of follow up 2 years 5 years - In children < 10yrs of age, lower doses of Clofazimine & Dapsone are recommended . MDT - Adult